Which is not a complication of blunt trauma to eye
1. Hyphema
2. Retinal detachment
3. Double perforation of iris
4. Iridodialysis

Correct answer: 3. Double perforation of iris

Explanation: Perforation of iris can only occur after perforating injuries .Blunt trauma can cause disinseion of iris that is iridodialysis. Refer khurana 6/e 423